Diastatic fracture refers to fracture through :-
1. Outer table of skull
2. Cranial sutural lines
3. Inner table of skull
4. Diaphysis of long bnes

Correct answer: 2. Cranial sutural lines

Explanation: Diastatic Fracture/ Sutural Fracture: Separation of cranial sutures Young children (due to non union of sutures) Causes: 1) Trauma 2) Pathology (e.g. Intracranial tumor) Most commonly sagittal sutures get separated